What is the cut off for anaemia in adult male as per WHO?
1. 13 g/ dl
2. 12g/dl
3. 11g/dl
4. 10g/dl

Correct answer: 1. 13 g/ dl

Explanation: Hemoglobin in g/dl Adult male 13 Adult female 12 Adult female, pregnant 11 Children 6 month to 6 years 11 Children 6 to 14 years 12 Ref: Park 21st edition, page 575.